Which parameter is the best to differentiate cardiac tamponade from tension pneumothorax?
1. Raised JVP
2. Breath sounds
3. Raised Heart rate
4. Not improving after initial fluid resuscitation

Correct answer: 2. Breath sounds

Explanation: Option A - Raised JVP is seen in both. Option B - Absent breath sound in tension pneumothorax Option C - Raised heart rate is a non-specific finding. Option D - both are example of obstructive shock, so IV fluid will not work.